Basic pathology in rickets –
1. Defective bone matrix formation
2. Defect in mineralization
3. Defect in osteoid formation
4. All of the above

Correct answer: 2. Defect in mineralization

Explanation: To know the pathophysiology of rickets, one should know the structure of bone.
Bone consists of -


Protein matrix i.e. osteoid --> also known as unmineralized bone.
Mineral phase, principally composed of calcium and phosphate, mostly in the form of hydroxyapatite.


In rickets osteoid (protein matrix) is formed normally but mineralization of this osteoid does not occur i.e. there is defective mineralization.
Rickets is a syndrome of diverse etiology characterized by defective mineralization of bone and epiphyseal cartilage (growth plate) of growing bones.